Stochastic effect of radiation is:-
1. Genetic mutation
2. Radiation induced myelitis
3. Mucosal enteritis
4. Alopecia

Correct answer: 1. Genetic mutation

Explanation: Radiation Effects Stochastic Deterministic (Non - stochastic) 1. They are not dose dependent 1. They are dose dependent 2. They have no threshold 2. They have a threshold 3. They can occur at low doses 3. They occur at high doses above threshold 4. Severity of effect is not related to dose, but probability of occurrence of stochastic effects increases as the dose increases 4. Severity of effect in directly proportional to the the absorbed close 5. It has linear relationship between absorbed dose and probability of effect, with no threshold 5. It has non - linear relationship with threshold 6. Examples: Hereditary effects, cancers, genetic mutations, chromosomal aberrations 6. Examples: Somatic effects like skin erythema, epilation, cataracts, infertility, acute radiation syndrome like hematopoietic syndrome,